Which is not major criteria for diagnosis of rheumatic fever ?
1. Carditis
2. Subcutaneousnodules
3. Increased ASLO
4. Arthritis

Correct answer: 3. Increased ASLO

Explanation: Ans. is 'c' i.e., Increased ASLO o The jones criteria for rheumatic fever:Major criteriaMinor cirteriao Carditiso Migratory polyarthritiso Sydenham's choreao Subcutaneous noduleso Erythema marginatumClinicalo Fevero ArthralgiaLaboratoryo Elevated acute phase reactantso Prolonged PR intervalPLUSo Supporting evidence of a recent group A Streptococcal infection (e.g. positive throat culture or rapid antigen detection test; and or elevated or increasing streptococcal antibody test).